Esophagus is present in which mediastinum
1. Anterior
2. Posterior
3. Middle
4. Lateral

Correct answer: 2. Posterior

Explanation: Oesophagus is present in posterior mediastinum B D CHAURASIA'S HUMAN ANATOMY UPPER LIMB THORAX-VOLUME-1 SIXTH EDITION Page no-247